Jamais vu is
1. Illusion that what one is hearing, one has heard previously
2. A unfamiliar thought regarded as repetition of a previous thought
3. Unfamiliar situations or events feel strangely familiar
4. Feeling of strangeness to familiar situation

Correct answer: 4. Feeling of strangeness to familiar situation

Explanation: deja vu=== feeling of familiarity to a novel stimulus jamais vu==feeling of unfamiliarity to a familiar stimulus Reference.Kaplon and sadock, synopsis of psychiatry, 11th edition, pg No.194